Renal papillary necrosis is caused by?
1. NSAID
2. Cocaine
3. Heroin
4. Morphine

Correct answer: 1. NSAID

Explanation: Ans. (a) NSAIDRef Harrisonys Internal Medicine 18/e, Table 285-3, Radiology Illustrated, Uroladiology: Uroradiology by SeungHyup Ki 2/e, p 471